drugs acting tyrosin receptor is ?
1. TRH
2. TSH
3. INSULIN
4. MSH

Correct answer: 3. INSULIN

Explanation: TYROSINE KINASE RECEPTORS ARE: IGF1 EGFR{HER-1} VEGFR INSULIN RECEPTOR HER-2 REF: KD TRIPATHI 8TH ED